Release of neurotransmitter from presynaptic vesicles is an example of -
1. Simple diffusion
2. Facilitated diffusion
3. Active transport
4. Exocytosis

Correct answer: 4. Exocytosis

Explanation: Ans. is 'd' i.e., Exocytosis o Release of neurotransmitter from presynaptic vesicle occurs by exocytosis.o Macromolecules like neurotransmitters can not pass through the cell membrane by diffusion or active transporto They are transported out of the cells by exocytosis, in which neurotransmitter is first packed into vesicle (synaptic vesicle) and then released by exocytosis.